IVP should be cautiously performed in:
1. Multiple myeloma
2. Bone secondaries
3. Neuroblastoma
4. Leukemia

Correct answer: 1. Multiple myeloma

Explanation: Ans. Multiple myeloma